Antemortem burn differ from postmortem burns by all except
1. Pus in vesicle
2. Vesicle with hyperemic base
3. Vesicle containing air
4. Infammatory red line

Correct answer: 3. Vesicle containing air

Explanation: Vesicle containing air. In Antemortem burns, vesicles contain serous fluids with proteins & chlorides while in postmortem burns vesicles contain air. Trait Antemortem Burns Postmortem Burns 1 Line of redness Present Absent 2 Veiscles Contain albuminous fluid and chlorides Contain air 3 Infection Pus and sloughing Nil 4 Healing Granulation Nil 5 Soot in upper respiratory tract Carboxyhaemoglobin in blood Present Present Absent Absent 6 7 Enzymes Increase in enzymes No such increase The presence of antemortem blisters, finding of particles of soof in air passage oesophagus and stomach and cherry red colour of blood due the presence of carbon monoxide are certain signs of death from burning.